Which nerve does NOT supply gluteal region of the body?
1. Sciatic nerve
2. Superior gluteal nerve
3. Inferior gluteal nerve
4. Nerve to obturator internus

Correct answer: 1. Sciatic nerve

Explanation: The sciatic nerve supplies motor innervation to the hamstring muscles and all the muscles below the knee through its two divisions, the tibial and peroneal nerves. It does not supply gluteal region.Must know:Superior gluteal nerve (L4-S1): Provides motor innervation to the gluteus medius, gluteus minimus, and tensor fascia latae muscles.Inferior gluteal nerve (L5-S2): Provides motor innervation to the gluteus maximus muscle.The obturator internus muscle laterally rotates the femur at the hip joint. The nerve to the obturator internus and superior gemellus muscles (L5, S1, S2) innervates this muscle. Ref: Moon D.A., Foreman K.B., Albeine K.H. (2011). Chapter 34. Overview of the Lower Limb. In D.A. Moon, K.B. Foreman, K.H. Albeine (Eds), The Big Picture: Gross Anatomy.